Bradycardia during anaesthesia seen ina) Pancuronium b) Vecuronium c) Atracuriumd) Propofole) Succinylcholine
1. ab
2. bc
3. cd
4. de

Correct answer: 4. de

Explanation: Bradycardia is caused by → Succinylcholine, propofol, opioids anaesthetics (Morphine, fentanyl and its cogneres).
Tachycardia is caused by → Gallamine, Pancuronium, Rocuronium, Ketamine, Thiopentone, Methohexitone.